All of the following are diagnostic modalities of Asherman's syndrome, EXCEPT:
1. Hysterosalpingography
2. Saline sonography
3. Endometrial culture
4. Hysteroscopy

Correct answer: 3. Endometrial culture

Explanation: Intrauterine Adhesions is also known as uterine synechiae and when symptomatic, as Asherman syndrome, the spectrum of scarring includes filmy adhesions, dense bands, or complete obliteration of the uterine cavity. Endometrial damage may follow vigorous curettage, usually in association with postpartum hemorrhage, miscarriage, or elective abortion complicated by infection. When intrauterine adhesions are suspected, hysterosalpingography is indicated. Intrauterine adhesions characteristically appear as irregular, angulated filling defects within the uterine cavity. Other investigations include saline infusion sonography and hysteroscopy. Ref: Hoffman B.L., Schorge J.O., Schaffer J.I., Halvorson L.M., Bradshaw K.D., Cunningham F.G., Calver L.E. (2012). Chapter 16. Amenorrhea. In B.L. Hoffman, J.O. Schorge, J.I. Schaffer, L.M. Halvorson, K.D. Bradshaw, F.G. Cunningham, L.E. Calver (Eds), Williams Gynecology, 2e.